CURB 65 criteria include all except
1. Age more than or equal to 65
2. RR more than 30/min
3. Systolic BP more than 90mmHg
4. BUN level more than 7mmol/L

Correct answer: 3. Systolic BP more than 90mmHg

Explanation: Image ref Davidsons 23e p563